Which of the following protein binds to free heme?
1. Ceruloplasmin
2. Haptoglobin
3. Hemopexin
4. Hemosiderin

Correct answer: 3. Hemopexin

Explanation: Ans: c) Hemopexin Option analysis: Binding protein Ceruloplasmin is a copper containing protein Haptoglobin Free Haemoglobin Hemosiderin Denatured ferritin Hemopexin is a b1-globulin that binds free heme